Viagra like medicine is given in which condition:
1. Pulmonary hypertension
2. Essential hypertension
3. Malignant hypertension
4. Hypertension in pregnancy

Correct answer: 1. Pulmonary hypertension

Explanation: Ans. A: Pulmonary Hypertension Since NO is an important regulator of pulmonary vascular resistance, PDE-5 inhibitors lower pulmonary arterial pressure. Sildenafil is more selective for pulmonary circulation than vardenafil, and is the only PHosphoDiEsteras-5 inhibitor shown to improve arterial oxygenation in pulmonary hypertension. Sildenafil has now become the drug of choice for pulmonary arterial hypertension.